Class III hemorrhage is defined as blood loss up to?
1. 500-750 ml
2. 750-1500 ml
3. 1500-2000 ml
4. > 2000 ml

Correct answer: 3. 1500-2000 ml